Which of the following is a Ketolide antibiotic?
1. Erythromycin
2. Azithromycin
3. Telithromycin
4. Calathromycin

Correct answer: 3. Telithromycin

Explanation: ANSWER: (C) TelithromycinREF: Katzung 12th edition page 814, 815KETOLIDE ANTIBIOTIC:Ketolidesare semisynthetic 14-membered-ring macrolides, represented here by telithromycin - the first ketolide on the market, are new-generation macrolides, in which a 3-keto group replaces 1-dadinose in the lactone ring.Ketolides and macrolides have very similar antibacterial propertiesTelithromycin: Telithromycin is the first ketolide antibiotic to enter clinical use >* Oral bioavailablity is 57%Good tissue penetrationMetabolized by liverEliminated by both biliary and urinary routes.Reversible CYP P450 inhibitorProlongs QT intervalOnly approved indication is community acquired pneumonia because it can cause hepatitis and liver failure.